All of the following are disadvantages of anesthetic ether, except:-
1. Induction is slow
2. Cautery cannot be used
3. Irritant nature of ether increases salivary and bronchial secretions
4. Affects blood pressure and is liable to produce arrhythmias

Correct answer: 4. Affects blood pressure and is liable to produce arrhythmias

Explanation: Advantages of Ether Ether is cardiovascular stable agent. maintains hypoxic and hypercapnic drive good analgesic good muscle relaxation bronchodilator cheap disadvantage slow induction /slow recovery Irritant nature of ether increases salivary and bronchial secretions highly inflammable